All of the following are required for visualization of gall bladder in an oral cholecystogram except:
1. Motor mechanism of gall bladder
2. Patency of cystic duct
3. Ability to absorb water
4. Functioning hepatocytes

Correct answer: 1. Motor mechanism of gall bladder

Explanation: Answer is A (Motor mechanisms of Gall bladder) Functioning motor mechanism of the gall bladder is not a prerequisite Q,& even in its absence, the contrast can be concentrated in the Gall bladder & be visible radiographically. Oral Cholecvstogram (also called Graham Cole test)Q Ipanoid Acid tablets (contrast) is taken the right before the test. The contrast is absorbed, secreted into the bile by the liver (i.e. functioning hepatocytes required)Q passes through the cystic duct into the gal bladder (i.e. patent cystic duct is required). But is then concentrated in the Gall Bladder (ability to absorb water is required) Functioning motor mechanism of the gall bladder is not a prerequisite Q,& even in its absence, the contrast can be concentrated in the Gall bladder & be visible radiographically. Since a negative test can result from so many causes, it is NOT diagnostic of Gall stone Disease.